SIADH is associated with which of the following drug?
1. Vincristine
2. Erythromycin
3. 5-FU
4. Methotrexate

Correct answer: 1. Vincristine

Explanation: Treatment with vincristine is known to cause SIADH. Erythromycin, 5-FU and Methotrexate are not established causes of Syndrome of Inappropriate Antidiuretic Hormone hypersecretion (SIADH). Ref: Harrison's Principles of Internal Medicine, 16th Edition, Page 2102; Drug-Induced Diseases: Prevention, Detection, and Management, 2nd Edition, James E. Tisdale, Chapter 45, Page 887.